Which of the following decreases appetite?
1. Orexin
2. Neuropeptide Y
3. Ghrelin
4. Leptin

Correct answer: 4. Leptin

Explanation: Food intake and appetite are regulated by various circulating hormones including ghrelin and glucagon-like-peptide 1 (GLP-1). Ghrelin, mainly released from the stomach, increases food intake, induces appetite, enhances adiposity as well as releases growth hormone Ref: guyton and hall textbook of medical physiology 12 edition page number:811,812,813